Drug of choice for acute excacerbation of bronchial asthma -
1. Leukotriene antagonists
2. Lipoxygenase inhibitors
3. Beta 2 agonists
4. Anticholinergics

Correct answer: 3. Beta 2 agonists

Explanation: Ans. is 'c' i.e., Beta 2 agonists Treatment of acute asthmao The only drugs effective for the treatment of acute attack of asthma are bronchodilators (b2-receptor agonists, anticholinergics, and methylxanthines).1. Mild attacks# For patients with mild attack inhalation of a short acting b2 receptor agonist, e.g. salbutamol (albuterol) is used.# An inhaled anticholinergic, e.g. ipratropium may be added if there is no satisfactory response to b2-agonists alone.# In patients who are refractory to inhaled therapies, i.v. aminophylline (theophylline) may be effective.2. Severe attacks# Oxygen plus continuous administration of aerosolized salbutamol (albuterol) plus systemic steroids, e.g. methylprednisolone, hydrocortisone.# Recently, MgSO4 has been tried in acute severe asthma by IV or inhalational route.